Drug not used in the treatment of H. pylori is -
1. Cisapride
2. Clarithromycin
3. Metronidazole
4. Omeprazole

Correct answer: 1. Cisapride

Explanation: Ans. is 'a' i.e., Cisapride